1 month old baby has microcephaly, hepatoslenomegaly. His urine stained with Giema shows owl's eye inclusion bodies. What is the diagnosis
1. CMV
2. EBV
3. Herpes simplex
4. Varicella zoster

Correct answer: 1. CMV

Explanation: OWL'S eye inclusion bodies are seen in CMV virus.